A girl from shimla presented to OPD with fever, hypotension, malaise and axillary and inguinal lymphadenopathy. Culture in glucose broth shows stalactite growth. Most likely causative organism is -
1. Yersinia pestis
2. Francisella tularensis
3. Brucella abortus
4. Coxiella burnetti

Correct answer: 1. Yersinia pestis